Which one of the following in the characteristic feature of juvenile myoclonic epilepsy –
1. Myoclonic seizures frequently occur in morning
2. Complete remission is common
3. Response to anticonvulsants is poor
4. Associted absence seizures are present in majority of patients

Correct answer: 1. Myoclonic seizures frequently occur in morning

Explanation: Juvenile myoclonic epilepsy is an epilepsy syndrome. Epilepsy syndromes are disorders in which epilepsy is a predominant feature and there is sufficient evidence to suggest a common underlying mechanism.
Juvenile Myoclonic Epilepsy

It is characterized by:
Appearance in early adolescence
Bilateral myoclonic jerks that may be single or repetitive
Most frequent in morning after awakening
Can be provoked by sleep deprivation
Consciousness is usually preserved unless myoclonus is 'specially severe
Association with generalized tonic-clonic seizures and absence seizures is seen
Absence seizures occur in 1/3rd of patients
Benign condition although complete remission is uncommon
Seizure responds well to appropriate anticonvulsant medication
Family history of epilepsy is common
EEG show 4-6/s irregular spike
Treatment is with valproate